True about mounting stones is
1. Fast setting
2. High expansion
3. High strength
4. All of the above

Correct answer: 1. Fast setting

Explanation: The use of an articulator makes it necessary to mount the casts using a gypsum-producing product. These materials are referred to as "mounting" stones or plasters. They are fast setting and have low setting expansion. The mounting plaster has a sufficiently low strength to permit easy trimming and facilitate separating the cast from the articulator mounting plates.
Phillips Science of Dental Materials ed 12 pg 191